Pseudomembranous conjunctivitis is caused by – a) Gonococcusb) Staphylococcusc) Streptococcusd) Keratoconjunctivitis sicca
1. abc
2. bc
3. acd
4. bcd

Correct answer: 1. abc

Explanation: Bacteria causing pseudomembranous conjunctivitis are corynebacterium diphtheriae, staphylococci, streptococci, H. influenzae, N. gonorrhoea.